Heart block is seen in -
1. Hypermagensemia
2. Hypomagnesemia
3. Hypernatremia
4. Hypocalcemia

Correct answer: 1. Hypermagensemia

Explanation: Ans. is i.e., Hypermagnesemia o Hypermagnesemia slows the heart and leads to heart block.o Hypomagesemia leads to cardiac arrhythmias like SVT and VT.HypermagnesemiaHypomagnesemiaInhibits PTH releaseInhibits calcium reabsorptionResistance to PTHDecreased production of vitamin D3Vasodilation : HypotensionTetanyNeuromuscular blockade : DTK inhibitedVertigo/ataxia'nystagmusRespiratory' failure : Decreased respiratory rateDepression-psychosisBowel sounds reduced'ileus Pupils dilated Heart rate decreasedHeart rate increasedECG : PR, qRS and QT prolongationPR and QT prolongation with T wave inversion